Ankle sprain due to forced inversion of a plantar flexed foot is due to injury to
1. Anterior talofibular ligament
2. Posterior talofibular ligament
3. Calcaneofibular ligament
4. Posterior fibres of deltoid

Correct answer: 1. Anterior talofibular ligament

Explanation: Ans. a. Anterior talofibular ligament